The latest method of curing denture base resins:
1. Heat
2. Visible light
3. Chemicals
4. Lasers

Correct answer: 2. Visible light